All are major symptoms of sinusitis except -
1. Nasalbluckage
2. Facial congertion
3. Nasal congestion
4. Halitosis

Correct answer: 4. Halitosis

Explanation: Ans. is 'd' i.e., Halitosis o The clinical symptoms of acute sinusitis have been classified into major and minor.MajorMinoro Facial pain or pressureo Purulent nasal dischargeo Fevero Nasal congestiono Nasal obstructiono Hyposmia or Anosmiao Facial congestion or fullnesso Headacheo Cougho Fatigueo Halitosiso Dental paino Ear painor pressure